Treatment of chlamydia pneumonia is :
1. Erythromycin
2. Ceftriaxone
3. Penicillin
4. Sulphonamide

Correct answer: 1. Erythromycin

Explanation: Answer is A (Erythromycin): Erythromycin is the answer of choice here as Doxycycline has been not provided in the options.